The internal bevel incision of a periodontal flap:
1. is directed to the base of the pocket
2. removes the keratinized tissue completely
3. is a vertical incision
4. remove the lining of the pocket wall

Correct answer: 4. remove the lining of the pocket wall